A 50 years old male presents with massive splenomegaly. His differential diagnosis will include, except -
1. CML
2. Polycythemia vera
3. Hairy cell leukemia
4. Aplastic anemia

Correct answer: 4. Aplastic anemia